Aconite poisoning is characterized by all except
1. Burning of lips
2. Tingling of lips
3. Hypertension
4. Abdominal pain

Correct answer: 3. Hypertension

Explanation: (Refer: Rajesh Bardale - Principles of Forensic medicine & Toxicology, 1st edition, pg no: 504, 5505)
Clinical features of Aconite poisoning

Fatal dose – 1 to 2 gram of root and 3 to 5 mg of aconitine
Nausea, vomiting, and diarrhea
Salivation 
Tingling and numbness in the mouth and face
Palpitation
Weakness
Hypotension
Ventricular ectopics
Arrhythmias
Vertigo
Blurring of vision, hippus, mydriasis, xanthopsia
Convulsions

The main causes of death are ventricular arrhythmias and asystole, paralysis of the heart or of the respiratory center